Cushing reflex is associated with all except ?
1. Hypotension
2. Increased intracranial pressure
3. Bradycardia
4. Tachyponea

Correct answer: 1. Hypotension

Explanation: Ans. is 'a' i.e., HypotensionA rise in intracranial pressure causes impaired blood supply to VMC (RVLM) neurons and the local hypoxia and hypercapnia increase their discharge to the systemic resistance vessels, i.e., cushing reflex. The resultant rise in BP tends to restore cerebral blood flow and over a considerable range, the BP rise is proportional to the increase in intracranial pressure. The increase in BP causes reflex bradycardia through arterial baroreceptors. That is why bradycardia rather than tachycardia is characteristically seen in patients with increase (ICP).Cushing reflex consists of hypertension (increased BP), bradycardia and tachyponea.